Distant direct ophthalmoscopy is done at
1. 100 cm
2. 25 cm
3. As close to the face as possible
4. 1 m

Correct answer: 2. 25 cm

Explanation: Ans. (b) 25 cmDistant direct ophthalmoscopy is done from a distance of 20 - 25 cm, and the features of the red reflex are noted.Option a/d are the same (mathematical conversion), so rule them out distance for retionscopy.Option c - distance for Direct ophthalmoscopy.